The cremaster muscle is innervated by which of the following nerves
1. Genital branch of the genitofemoral nerve
2. Ilioinguinal
3. T12
4. Femoral

Correct answer: 1. Genital branch of the genitofemoral nerve

Explanation: CREMASTER MUSCLE:- Consists of muscle fasciculi embedded in cremasteric fascia. The fasciculi form superficial loops from middle one-third of upper surface of inguinal ligament and deep loops from pubic tubercle, pubic crest, and conjoint tendon. Fully developed in males. In females only few fibres. Muscle along with the intervening connective tissue forms a sac-like cremasteric fascia around spermatic cord and testis. Nerve supply:- genital branch of genitofemoral nerve. Action: suspend the testis and elevate it. Cremasteric reflex:- Stroking the upper part of the medial side of the thigh there is reflex contraction of the cremaster muscle, as is evidenced by elevation and retraction of the testis. In UMN lesions above segment, L1 reflex is lost. {Reference: BDC 9E}